Medical management of kernicterus is
1. Sulfonamide
2. Erythromycin
3. Phenobarbitone
4. Phenytoin

Correct answer: 3. Phenobarbitone

Explanation: Treatment for kernicterus may include :Phototherapy for kernicterus: exposure to ultraviolet light breaks down bilirubin in the bloodstream.Exchange transfusion: Removing blood that contains bilirubin, with blood that does not contain bilirubin.Medications that reduce the amount of bilirubin in the bloodstream: Albumin (albuminar, albutein, plasbumin)Immune globulin intravenous Phenobarbital